Jaundice at birth or within 24 hours of birth is commonly due to –
1. Erythroblastosis
2. Congenital hyperbilirubinemia
3. Biliary atresia
4. Physiological

Correct answer: 1. Erythroblastosis

Explanation: Jaundice present at birth or within 24 hours of life

Erythroblastosis fetalis (Rh incompatibility) —> most common cause            o Concealed hemorrhage
ABO incompatibility
Congenital infections ---> Rubella, syphilis, CMV, toxoplasmosis                  o Sepsis
Red cell enzyme defects (G6PD deficiency)
Red cell membrane defect (Hereditary spherocytosis) 
Jaundice appearing on 2" or 3rd days of life
Physiological                                o Crigler - Najjar syndrome              o Early onset breast milk jaundice
Jaundice appearing from 3' to 7"1 days of life
Bacterial sepsis    o Urinary tract infection


Other infections —3 syphilis, CMV, enterovirus, toxoplasmosis      o Polycythemia

Jaundice appearing after 1st week of life

All the causes of jaundice, which have been mentioned in previous explanations, can appear after 1" week.